In medical radiotherapy linear particle accelerator emits
1. Electron and photons
2. Electron and positrons
3. Neutrons and positrons
4. Neutrons only

Correct answer: 1. Electron and photons